Which of the following gas is commonly used in laparoscopic procedures?
1. Air
2. Pure 02
3. N20
4. C02

Correct answer: 4. C02

Explanation: CO2 is used for insufflation during endoscopic procedures (e.g., laparoscopic surgery) because it is highly soluble and does not support combustion. Inadvertent gas emboli thus are dissolved and eliminated more easily by the respiratory system. Ref: Patel P.M., Patel H.H., Roth D.M. (2011). Chapter 19. General Anesthetics and Therapeutic Gases. In B.C. Knollmann (Ed), Goodman & Gilman's The Pharmacological Basis of Therapeutics, 12e.